Deltoid muscle causes all except -
1. Flexionofshoulder
2. Extension of shoulder
3. Internal rotation ofshoulder
4. Adduction of shoulder

Correct answer: 4. Adduction of shoulder

Explanation: Ans. is'd'i.e., Adduction of shoulder Action of deltoidAnterior (clavicular) fibres : Flexion and internal (medial) rotation of shoulder.Middle (acromial)fibres : Abduction of shoulder.Posterior fibres : Extension and lateral rotation of shoulder